True about barbiturates ?
1. Have steep dose response curve
2. Have analgesic action
3. Are enzyme inhibitors
4. Acidification of urine is done in poisoning

Correct answer: 1. Have steep dose response curve

Explanation: Ans. is ,a, i.e., Have steep dose response curve(Ref: Goodmen & Gillmen |2',h/e p. 471)Barbiturates depress all areas of CNS, but the reticular activating system is most sensitive.Barbiturates have steep dose response curve.Except For phenobarbitone in epiteliu andthiopentonein anaesthesia,barbituratesare used now'The enzwe inducing property- of jhnobarbitine can be utiliad to hasten clearance of congenital nonhemolytic jaundiceand kernicterus,There is no specific antidote for their pokoning